Most common benign tumour of liver is-
1. Papilloma
2. Hepatic adenoma
3. Amoeboma
4. Hemangioma

Correct answer: 4. Hemangioma

Explanation: Hemangiomas are the most common benign tumour of the liver.
These hemangiomas are of a cavernous type.
The hemangiomas should not be mistaken for metastatic tumours and should not be blindly biopsied because there is a great risk of bleeding.

Remember

Most common hepatic neoplasms → Metastasis.
Most common primary malignant tumor of liver → hepatocellular carcinoma (Hepatoblastoma).
Most common benign neoplasm of liver → Hemangioma.